The production of estradiol by the testes requires:
1. Sertoli cell follistatin
2. LH and Leydig cells
3. Activin but not LH
4. Leydig cell, Sertoli cells, LH, and FSH

Correct answer: 4. Leydig cell, Sertoli cells, LH, and FSH

Explanation: Ans. D. Leydig cell, Sertoli cells, LH, and FSHThe production of estradiol requires Leydig cells, under the influence of LH, which stimulates androgen production. The androgen diffuses to Sertoli cells, which contain aromatase, the enzyme that converts androgens to estrogens under the influence of FSH. Therefore, Leydig cells, Sertoli cells, LH, and FSH are required. Follistatin binds activin and would reduce FSH secretion, an essential component for estradiol production. Estradiol is not produced by Leydig cells. Activin would increase the secretion of FSH, which is a necessary component for estradiol, but other cells and hormones are required. Similarly, Leydig cells would need LH to stimulate the production of the androgen precursor of estrogen. Sertoli cells, under the influence of FSH, are needed to aromatize androgen from Leydig cells